In nux vomica poisoning the following are also required to be preserved :
1. Long bones
2. Brain
3. Muscles
4. Skin

Correct answer: 2. Brain

Explanation: B i.e. Brain